Which of the following have the capability to produce extra cellular polysaccharides
1. Strep. mutans
2. Strep. pyogenes
3. Peptostreptococcus
4. Enterococcus

Correct answer: 1. Strep. mutans